X ray signs of acute pancreatitis include all except
1. Colon cut off sign
2. Sentinel loop sign
3. Scrambled egg sign
4. Ground glass appearance.

Correct answer: 3. Scrambled egg sign

Explanation: Scrambled egg is seen in CT of Ca. Pancreas.